All are true about cutaneous anthrax except:
1. Extremely painful lesions
2. The whole area is congested and edematous
3. Central crustation with black eschar
4. Satellite nodule around inguinal region

Correct answer: 1. Extremely painful lesions

Explanation: Ans. is 'a' i.e., Extremely painful lesionsThe lesions begin as a papule that evolves into a painless vesicle. The lesions typically are 1-3 cm in diameter and have a characteristic central black eschar.